Route of administration of Gn RH analogue -
1. Subcutaneous
2. Oral
3. Intravenous
4. Transdermal

Correct answer: 1. Subcutaneous

Explanation: Ans. is 'a' i.e., Subcutaneous o These are given as nasal spray or subcutaneous injection (see above explanation).